Annual growth rate is -
1. Crude birth rate-crude death rates
2. Crude death-crude birth rates
3. Crude birth rate-crude death rate x 100/crude birth rate
4. Crude birth rate-crude death rate x 100/Mid year population

Correct answer: 1. Crude birth rate-crude death rates

Explanation: When crude death rate is subtracted from the crude birth rate, the net residual is the current annual growth rate, exclusive of migration.